The following antiarrhythmic drug has the most prominent anticholinergic action
1. Quinidine
2. Lignocaine
3. Disopyramide
4. Procainamide

Correct answer: 3. Disopyramide

Explanation: Disopyramide It is a quinidine like Class IA drug that has prominent cardiac depressant and anticholinergic actions, but no art adrenergic blocking property. Disopyramide usually has no effect on sinus rate because of opposing direct depressant and antivagal actions. Ref:- kd tripathi; pg num:-530